which of the following is a category A bioterrorism agent ?
1. Bacillus anthracis
2. Nipah
3. Brucella
4. coxiella

Correct answer: 1. Bacillus anthracis

Explanation: CATEGORY A BIOTERRORISM AGENT 1 Anthrax= B anthracis 2 Botulism= Clostridium Botulinum toxin 3 plague =Yersinia pestis 4 Small pox =Variola major 5 Tularemia =Francisell tularensis 6 viral H&;morrhagic fever including =Filoviruses ref : ananthanaryana